Compared with a normally shaped placenta, which complication of third-stage labor is more common with a succenturiate lobe?
1. Cord avulsion
2. Uterine inversion
3. Chorioamnionitis
4. Retained placenta

Correct answer: 4. Retained placenta

Explanation: Succenturiate lobe - The accessory lobe may sometimes be retained in the uterus after delivery and may cause serious hemorrhage (Secondary PPH) which is the most common complication. The treatment is removal of the lobe with a gentle curettage.